Hemorrhagic cystitis is seen with ?
1. Cyclophosphamide
2. Busulfan
3. Ketoprofen
4. 5FU

Correct answer: 1. Cyclophosphamide

Explanation: Ans. is 'a' i.e., Cyclophosphamide > 'b' i.e., Busulfan Hemorrhagic cystitis due to cyclophosphamide is attributed to the presence of its metabolite ACROLEIN in urine. Cyclophosphamide is inactive as such : transformation into active metabolites (aldophosphamide, phoshomide mustard) occurs in the liver, and a wide range of antitumor actions is exerted. Cyclophosphamide has prominant immunosuppressant action. Cyclophosphamide may also cause cardiac dysfunction, pulmonary toxicity and syndrome of inappropriate ADH secretion. Other drugs causing hemorrhagic cystitis Carmustine Extended spectrum penicillins Vincristine Chlorambucil Nitrogen mustard Busulfan